McArdle's Maximum Allowable sweat rate:-
1. < 4.5 litre/4 hours
2. < 3.0 litre/4 hours
3. < 3.5 litre/4 hours
4. < 5.0 litre/4 hours

Correct answer: 1. < 4.5 litre/4 hours

Explanation: McArdle's Index: - It is an index of thermal comfort. Max P4SR (Predictable 4 hour sweat rate): <4.5lit/4hours. Beyond this death of person is imminent.